Indication of Fecal contamination of water is due to presence of – a)  E. colib)  Coliformc) Enterococcid) Clostridium difficilee) Streptococcus pyogene
1. ab
2. bc
3. abc
4. bcd

Correct answer: 3. abc

Explanation: Bacteriological indicators of water contamination 

Presence of following organism indicate fecal contamination of water.


Coliform : by all practical point of view it is assumed that all coliform are fecal in origin unless a non-fecal origin can be proved.
Fecal streptococci or enterococci : They regularly occur in feces. Finding of fecal streptococci in water is regarded as important confirmatory evidence of recent fecal contamination water.
Clostridium perfringens : They also regularly occur in feces. Presence of spore of Cl. perfringens and absence of coliform group indicate remote contamination of water.